Satellite nodules are seen in-
1. Fungal corneal ulcer
2. Tuberculosis
3. Sarcoidosis
4. Viral ulcer

Correct answer: 1. Fungal corneal ulcer

Explanation: Ans. is 'a' i.e., Fungal corneal ulcer o Features of fungal corneal ulcer arei) Signs more prominent than symptomsvi) Multiple satellite lesionsii) Greyish-white dry looking ulcervii) Son-sterile (infected) hypopyon (Pseudohypopyon)iii) Featheiy & hyphate marginsviii) Absent corneal vascularizationiv) Feathery finger like extensionix) Perforation is rarev) Immune ring of Wesseley